The preganglionic parasympathetic fibres to the parotid gland travel in
1. Lesser petrosal nerve
2. Greater petrosal nerve
3. Deep petrosal nerve
4. Internal carotid nerve

Correct answer: 1. Lesser petrosal nerve

Explanation: The preganglionic fibres begin in the inferior salivatory nucleus; pass through the glossopharyngeal nerve, it's tympanic beach, the tympanic plexus and the lesser petrosal nerve and relay in the price ganglion. The postganglionic fibres pass through the auriculotemporal nerve and reach the gland. Ref: BDC 6th edition pg 110 Notes: Ref flow chart 5.1 pg 111 BDC 6th edition